When an intervention is applied to community to evaluate its usefulness, it is termed as a trial for
1. Effectiveness
2. Efficacy
3. Efficiency
4. Effect modification

Correct answer: 1. Effectiveness